Which or the following drugs is deposited in the muscles?
1. Verpamil
2. Digoxin
3. Adenosine
4. Phenytoin

Correct answer: 2. Digoxin

Explanation: Digitalis bind to the Na K ATPase of myocardial fibers and inhibits this enzyme. Chloroquine and digoxin have the propensity to get deposited in muscles. hence they have a high volume of distribution and also responsible for various side effects due to incomplete elimination (REF.Essential of medical pharmacology KD TRIPATHI 6th Edition, Page No-496)